All are in Norma Basalis except
1. Mental foramen
2. Foramen Magnum
3. Formane Ovale
4. Foramen Lacerum

Correct answer: 1. Mental foramen

Explanation: The foramen present in the norma basalis are: 1.Greater palatine foramen 2.Lesser palatine foramen 3.Foramen lacerum 4.Foramen spinosum 5.Emissary sphenoidal foramen 6.Foramen magnum 7.Jugular foramen NOTES: The mental foramen is situated at the outer surface of mandible. The mental foramen lies below the interval between the premolar teeth. Ref.BDC volume 3,sixth edition pg 13